Dent disease due to a defect of?
1. Sodium channel
2. Potassium channel
3. Chloride channel
4. Calcium channel

Correct answer: 3. Chloride channel